Which of the following generated heat by disconnecting electron transport from phosphorylation?
1. Pericidin A
2. Rotenone
3. Dinitrophenol
4. Dimercaprol

Correct answer: 3. Dinitrophenol

Explanation: Dinitrophenol is an uncoupling agent, that disconnects electron transport from phosphorylation and generates lot of heat at the cost of ATP. Other options are inhibitors of electron transport chain.